Nontoxic form of storage and transportation of ammonia:
1. Aspartic acid
2. Glutamate
3. Glutamine
4. Glutamic acid

Correct answer: 3. Glutamine

Explanation: Catabolism of amino acid give rise to ammonia which get transferred to glutamate. From glutamate, NH3 is ultimately taken up by glutamine which is Non-toxic form of storage and transportation of ammonia in blood (see fig below). Glutamine is neutral in nature and can readily move across cell membrane by facilitative diffusion. Glutamine is formed from glutamate by following reaction: